Antidepressant drug used in nocturnal eneuresis is
1. Imipramine
2. Fluoxetine
3. Trazdone
4. Sertaline

Correct answer: 1. Imipramine

Explanation: Adverse effects ofTCAs l. Anticholinergic - Dry mouth, bad taste, urinary retention, blurred vision, palpitation, constiPation. 2. Sedation, mental confusion, weakness. 3. Increased appetite and veigfit gain. 4. Sweating andfinc tremer. 5. Decreased seizure threshold (clomipramine, maprotiline & bupropion). 6. Postural hypotension > Marimum by amitripSline - Goodman & Gillman 11/e p. 4j3. 7. Cardiac arrythmia; Maximum by amitriptyline and dosulpin. REF : Oxford text book of psychiatry 3rd Ed.